The lesions associated with recurrent dislocation of shoulder include all, except -
1. Hill-Sach's lesion
2. Bankart's lesion
3. Capsular laxity
4. Supraspinatus tear

Correct answer: 4. Supraspinatus tear

Explanation: No single deformity is responsible for recurrent dislocation.
Three important lesions, called triad of the essential lesion, have been cited.


Hill-Sach's lesion
Bankart's lesion
Erosion of anterior rim of the glenoid cavity


Other pathological lesions associated with recurrent anterior dislocation are : -


capsular laxity, 
Subscapularis deficiency, 
Glenoid fossa deficiency